All of the following are seen in Bell's palsy except
1. Ipsilateral facial palsy
2. Ipsilateral loss of taste sensation
3. Hyperacusis
4. Ipsilateral ptosis

Correct answer: 4. Ipsilateral ptosis

Explanation: In Bell's palsy, the palpebral fissure is widened. Ref: Dhingra 6th edition pg. 95